Histological changes in lens induced uveitis include:
1. Ghost cells
2. Giant cell reaction
3. Amyloid in the Cornea
4. Vasculitis

Correct answer: 2. Giant cell reaction

Explanation: Ans. Giant cell reaction